Highest level of health care is
1. Primary health care
2. Tertiary care
3. Child care
4. Secondary level care

Correct answer: 2. Tertiary care